Seen in Pityriasis versicolor :
1. Iris lesions
2. Auspitz sign
3. Coup D'ongle sign
4. Darrier's sign

Correct answer: 3. Coup D'ongle sign

Explanation: Scraping the surface of the lesions in Pityriasis versicolor will accentuate the scaling. This sign is known as Coup D'ongle sign of Besnier (Coup D'ongle means "Stroke of nail") Iris or target lesions Erythema multiformie Bulla spread sign and Nikolsky's sign Pemphigus vulgaris. Auspitz sign Plaque psoriasis Darrier's sign Urticaria pigmentosa. White dermographism Atopic dermatitis. Dimple sign Dermatofibroma.